Which of the following is not true regarding super-antigens -
1. Bind T cells irrespective of antigen specificity of TCR
2. Bind directly to both MHC II and T cell receptor causing T cell activation
3. Bind to cleft (or antigen binding groov(e) in the MHC II molecule
4. Binds directly to lateral aspect of T cell receptor

Correct answer: 3. Bind to cleft (or antigen binding groov(e) in the MHC II molecule

Explanation: Superantigens Superantigens are potent activators of T-lymphocytes. Superantigens stimulate very large numbers of T cells, without relation to their epitope specificity. This leads to an excessive and dysregulated immune response with release of cytokines IL - 1, IL - 2, TNF - a and IF - y. Superantigens are capable of activating up to 20% of the peripheral T-cell pool, where as conventional antigens activate < 1 in 10, 000. For superantigens, antigen specificity of TCR is not required.